HER-2/NEU receptor gene mutation is seen in which cancer?
1. Squamous cell carcinoma
2. Breast cancer
3. Glioblastoma
4. All of the above

Correct answer: 2. Breast cancer

Explanation: Harshmohan textbook of pathology 7th edition. HER 2/ neu is a EGF receptor proto oncogene also called ERB B2 its amplification is associated with cancer of breast, ovary ,stomach and lungs..